Blunt trauma to the eye may produce all of the following changes in the vitreous except:
1. Syneresis
2. Asteroid hyalosis
3. Synchiasis scintillans
4. Liquefaction

Correct answer: 2. Asteroid hyalosis

Explanation: Ans. Asteroid hyalosis